40 years male with spherophakia is at risk for developing ?
1. Phacolytic glaucoma
2. Phacoanaphylactic glaucoma
3. Phacomorphic glaucoma
4. None of the above

Correct answer: 3. Phacomorphic glaucoma

Explanation: Ans. is 'c' i.e., Phacomorphic glaucoma Phacomorphric glaucoma is an acute secondary angle-closure glaucoma caused by : Intumescent lens i.e., swollen cataractous lens due to rapid maturation of cataract or sometimes following traumatic rupture of capsule is the main cause of phacomorphic glaucoma. Anterior subluxation or dislocation of the lens Spherophakia (congenital small spherical lens)